True about Nitric Oxide are all except:
1. Produced from arginine
2. Nitric oxide synthase has three isoforms
3. Otherwise called endothelium derived relaxing factor
4. Acts through c AMP

Correct answer: 4. Acts through c AMP

Explanation: Ans. D. Acts through cAMPNitric Oxide acts through cGMPFormed from ArginineiNOS, eNOS, nNOS are three isoforms of Nitric Oxide SynthaseNitric OxideUncharged molecule having an unpaired electron, so it is highly reactive, free radical.Very short half life (0.1 seconds)Formerly called Endothelium Derived Relaxing Factor.Gaseous molecule.Second messenger is cGMP.Functions of Nitric OxidePotent Vasodilator.Involved in Penile erectionNeurotransmitter in brain and Peripheral Nervous System.Low level of NO involved in Pylorospasmin Congenital Hypertrophic Pyloric Stenosis.Inhibit adhesion, activation and aggregation of Platelets.